Post transplant lymphoma is caused by which of the following?
1. CMV
2. EBV
3. Herpes simplex
4. HHV-6

Correct answer: 2. EBV

Explanation: Epstein-Barr virus Lymphoid Malignancy Burkitt's lymphoma Post-organ transplant lymphoma Primary CNS diffuse large B cell lymphoma Hodgkin's disease Extranodal NK/T cell lymphoma, nasal type